Prothrombin time (PT) of a patient is 26, control PT is 13 seconds and sensitivity index is 1.41. What will be the INR of this patient -
1. 26/13
2. (26/13) x 1.41
3. Both
4. None

Correct answer: 4. None

Explanation: Ans. is d None o A standardized system called the International Normalized Ratio (INR), which is the ratio of prothrombin time in patient to that in normal non-anticoagulated person, has been developed by WHO and it is based on the use of human brain thromboplastin.